Vena caval opening is at what level in the diaphragm?
1. T6
2. T8
3. T10
4. T12

Correct answer: 2. T8

Explanation: Ans. is 'b' i.e., T8 Opening Level Part of diaphragm Shape Structures passing Vena caval T8 * Central tendon Quadrilateral 1. Inferior vena cava 2. Branches of right phrenic nerve Oesophageal T10 * Muscular portion derived from right crus Elliptical/oval 1. Oesophagus 2. Oesophageal branch of left gastric vessels 3. Vagus/Gastric nerves Aortic (osseoapon- eurotic) * Between right and * Left crus (posterior to diaphragm) 1. Aorta 2. Thoracic duct 3. Azygous vein T12 Round